Congenital hypertropic pyloric stenosis is diagnosed by-
1. CT
2. USG
3. MRF
4. X-ray

Correct answer: 2. USG

Explanation: Ans. is 'b' i.e., USG o USG is the imaging modality of choice for evalution of infantile pyloric stenosis. It is both highly sensitive (90-99%) and specific (95-100%) in the hands of a qualified sonographer.o USG findings of infantile pyloric stenosis are:* Target sign- Pyloric muscle wall thickness - 4mm* Cervix sign- Pyloric length (segment length) - >16mm* Antral nipple sign- Pyloric diameter -> 15mm